About Dandy-Walker syndrome, true is:
1. Mostly have hydrocephalus
2. Cystic expansion of 4th ventricle
3. Mid cerebellar hypoplasia
4. All are true

Correct answer: 4. All are true

Explanation: d. All are true(Ref: Nelson's 20/e p 2815-2816)Dandy Walker malformationCystic expansion of 4th ventricle and midline cerebellar hypoplasia seen; 90% patients have hydrocephalusPapilledema, pyramidal tract signs and cranial nerve palsies may occur along with symptoms of raised ICP.It is managed by shunting the cystic cavity in the presence of hydrocephalus.